All of the following are true about Gout, except:-
1. Occurs due to accumulation of urate crystals in joint
2. Can be pptd by pyrazinamide
3. Birefringement crystals are present in joint
4. Occurs more in females

Correct answer: 4. Occurs more in females

Explanation: Gout is more widespread in men than in women. Women represent only 5-20% of patients with gout. Women are seldom affected until after menopause REF: Harrison book of internal medicine 21ST EDITION